Flocculo nodular lobe has direct connection with :
1. Red nucleus
2. Inferior olivary nucleus
3. Vestibular nucleus
4. Dentate nucleus

Correct answer: 3. Vestibular nucleus

Explanation: C i.e. Vestibular nucleusFlocculonodular lobe constitutes the vestibulo- cerebellum. Output from flocculonodular lobe goes directly to the brainstemQ, bypassing the deep cerebellar nuclei and is concerned with maintenance of equlibriumQ.